True statements about ankylosing spondylitis include all except -a) HLA-B27 is found in 90% of sufferersb) Uveitis is found in 15 to 20% of sufferersc) The conditions is commoner in femaled) The radiological changes can occur in the spine before symptoms
1. bcd
2. acd
3. ac
4. bd

Correct answer: 1. bcd

Explanation: HLA - B27 is positive in 90-95% of cases.
Uveitis occurs in 40% of patients (Harrison 17th /e 2111)
Ankylosing spondylitis is more common in males.
Radiological changes do not occur before clinical symptoms :-

"One of the drawback to radiography is that the disease may be present for 7-10 years before changes are significance enough to be visualized with conventional X-rays. Thus patients presenting with early - stage ankylosing spondylitis will most likely have a negative X-ray". — Medifocus Guidebook on ankylosing spondylitis